Which among the following drains into IVC
1. Renal
2. SMV
3. IMV
4. Splenic vein

Correct answer: 1. Renal

Explanation: Ans) a (Renal) Ref BD Chaurasia AbdomenSMV joins with splenic veins to form portal veins behind neck of pancreas.IMV drains into splenic vein.Splenic vein forms portal vein with SMV.